Graham Steel's murmur is an ausultatory finding of
1. Aortic regurgitation
2. Pulmonary regurgitation
3. Tricuspid incompetence
4. Aortic stenosis

Correct answer: 2. Pulmonary regurgitation

Explanation: (B) Pulmonary regurgitation > Graham Steell's murmur: a high-pitched diastolic murmur caused by pulmonary regurgitation secondary to severe pulmonary hypertension; it is heard at the left sternal edge, level with the second or third costal cartilage.> Duroziez's murmur: a double murmur over the femoral or other large peripheral artery, due to aortic insufficiency.> Cruveilhier-Baumgarten murmur: a venous murmur heard at the abdominal wall over veins connecting the portal and caval systems.> Carey Coombs murmur: a rumbling apical mid-diastolic cardiac murmur occurring in the acute phase of rheumatic fever and disappearing afterward.> Austin Flint murmur: a presystolic or mid-diastolic murmur heard at the cardiac apex in aortic regurgitation, originating at the mitral valve when blood enters simultaneously from both the aorta and the left atrium.> Gibson murmur or Machinary murmur: a long rumbling sound occupying most of systole and diastole, usually localized in the second left interspace near the sternum, and usually indicative of patent ductus arteriosus> Seagull murmur: a raucous murmur with musical qualities resembling the call of a seagull such as that heard occasionally in aortic insufficiency, and attributed specifically to eversion or retroversion of the right anterior aortic cusp.